Zygoma fractures can be best viewed by
1. Occipitomental view
2. Lateral oblique
3. Towne's view
4. Lateral skull

Correct answer: 1. Occipitomental view

Explanation: The occipitomental (Waters view) radiograph provides an image of the whole zygoma and maxillary sinus.